Not seen in kwashiorkor -
1. Apathy
2. Flaky paint dermatosis
3. Poor appetite
4. Increased albumin

Correct answer: 4. Increased albumin

Explanation: Ans. is 'd' i.e., Increased albumin o Albumin level is low in kwashiorkor, which results in generalized edema. o Other options are true regarding kwashiorkor.